Pharyngeal muscles are developed from which pharyngeal arch
1. 2nd
2. 3rd
3. 4th
4. 3rd and 4th

Correct answer: 4. 3rd and 4th

Explanation: All the pharyngeal muscles are derived from 4th arch except stylopharyngeus which is derived from 3rd arch